Best test to determine etiology of SAH –
1. Enhanced CT
2. Unenhanced CT
3. Intra arterial digital substraction angiography
4. MRI

Correct answer: 3. Intra arterial digital substraction angiography

Explanation: Investigation of choice to know the etiology of SAH is four vessels digital substraction angiography.